Lithium is used in the prophylactic treatment of:
1. Schizophrenia
2. MDP
3. Acute depression
4. Conversion reaction

Correct answer: 2. MDP

Explanation: Lithium is a drug of its own kind to suppress mania and to exert a prophylactic effect in bipolar manic depressive illness (MDI) at doses which have no overt CNS effects. Ref KD Tripati 8th ed.